Whitnall's Tubercle is present in
1. Lateral wall of Orbit
2. Medial wall of Orbit
3. Roof of Orbit
4. Floor of Orbit

Correct answer: 1. Lateral wall of Orbit

Explanation: Whitnall's or zygomatic tubercle is a palpable elevation on the zygomatic bone just within the orbital margin. It provides attachment to the lateral check ligament of the eyeball.Reference: Chaurasia Head and Neck; 6th edition; Page no: 27